DOC in chancroid is –
1. Tetracycline
2. Doxycycline
3. Erythromycin
4. Streptomycin

Correct answer: 3. Erythromycin